Black powder composition:
1. 15 % potassium nitrate + 10 % sulphur + 10% charcoal
2. 15 % potassium nitrate + 8 % sulphur + 10% charcoal
3. 75 % potassium nitrate + 8% sulphur + 15% charcoal
4. 75 % potassium nitrate + 10% sulphur + 15% charcoal

Correct answer: 4. 75 % potassium nitrate + 10% sulphur + 15% charcoal

Explanation: There are two types of Powder 1. Black Powder - consists of 75% KNO3-, 10% Sulphur and 15% Charcol 2. Smokeless powder - It consists of nitroglycerine, nitrocellulose and nitroguanide 3. Semi smokeless gun powder - Black (80%) + Smokeless (20%) - It is designated as FG, FFG, FFFG, etc., depending on the size of the grains. The more number of F's as number of fineness increases.